Which of the following conditions is most likely to be associated with a vaginal pH of 4 ?
1. Atrophic vaginitis
2. Candidal vaginits
3. Trichomonas vaginitis
4. Gardnella vaginitis

Correct answer: 2. Candidal vaginits

Explanation: Candidal vaginits